Which protease inhibitor has boosting effect?
1. Amprenavir
2. Tenovir
3. Nelfinavir
4. Ritonavir

Correct answer: 4. Ritonavir

Explanation: Retroviral protease Inhibitors (Pis): An aspartic protease enzyme encoded by HIV is involved in the production of structural proteins and enzymes (including reverse transcriptase) of the virus. The large viral polyprotein is broken into various functional components by this enzyme. This protease acts at a late step in HIV replication, i.e. maturation of the new virus particles when the RNA genome acquires the core proteins and enzymes. In case of different Pis, 6-18 tablets are to be taken daily, some on empty stomach, but others with meals; and this has to go on for months and years. Patient acceptability and compliance are often low. One of the strategies adopted to reduce the dose of IDV, LPV and SQV is to combine them with a lowand subtherapeutic dose (100 mg) of ritonavir. By reducing first pass metabolism, ritonavir increases the bioavailability of the companion PI. This 'boosted PI regimen' permits reduction in the number I frequency of tablets to be taken each day. Lopinavir is marketed only in combination with ritonavir. Nelfinavir is not to be combined with ritonavir. ESSENTIALS OF MEDICAL PHARMACOLOGY K.D.TRIPATHI SIXTH EDITION PAGE NO:772,773